True about diphyllobothrium:
1. Man is single host
2. Iron deficiency anemia is seen
3. Operculated egg is diagnostic
4. Fish is the definitive host

Correct answer: 3. Operculated egg is diagnostic

Explanation: Ans. c. Operculated egg is diagnostic